Commonest complication of subclavian venous puncture is
1. Infection
2. Pneumothorax
3. Carotid artery puncture
4. Atrial perforation

Correct answer: 2. Pneumothorax

Explanation: Pleura being in close proximity subclavian cannulation has high incidence of pneumothorax other common problem is malposition of catheter due to its tortuous course.